Chandu 32 years male presents with abdominal pain and vomitting. He also complain of some psychiatric symptoms & visual hallucination. Most likely diagnosis is
1. Hypothyroidism
2. Hyperthyroidism
3. Hysteria
4. Intermittent Porphyria

Correct answer: 4. Intermittent Porphyria

Explanation: D i.e. Intermittent porphyria